Not a cause for secondary amenorrhea -
1. Pregnancy
2. PCOD
3. Hyperprolactinaemia
4. Turner syndrome

Correct answer: 4. Turner syndrome

Explanation: Ans. is 'd' i.e., Turner syndrome Causes of secondary amenorrheaPhysiologicalo Pregnancyo LactationPathologicalGenital tracto Acquired stenosis/atresia of cervical canal following Electrocauterization, chemical bums & cervical amputation in Fothergill's repair, following conization forCIN & genital TB.o Asherman's syndromeo Vesicovaginal fistulaOvaryo Surgical extirpationo Radiotherapyo Autoimmune diseaseo Induction of multiple ovulation in infertility 1/t premature menopauseo POODo Resistant ovarian syndromeo Infections (mumps, TB etc)o Masculinising ovarian tumourso Premature menopauseNutritionalo Anorexia nervosa, bulimiao Extreme obesityo Excessive weight loss in athletes & ballet dancersPituitaryo Simmond's diseaseo Sheehan syndromeo Hyperprolactinaemiao Tumours like prolactinomas, chromophobe adenomaso Cushing's diseaseo Empty sella syndromeo Drugs - tranquillizers, OCPs, metaclopramide, dopamine blockers, antihypertensives, antidepressants, cimetidine & phenothiazine.Hypothalamuso GnRH deficiencyo Vigorous exerciseo Pseudocyesiso Brain tumourso Anorexia nervosaSuprarenalo Addison's diseaseo Adrenogenital syndromeo Suprarenal tumoursThyroido Hypothyroidismo Chest wall lesionso Grave's diseaseOthero Diabeteso Tuberculosis-liver diseaseo Renal diseaseo Severe anaemia, malnutrition